Bisgaard regimen is used in treatment of?
1. Trophic ulcer
2. Malignant ulcer
3. Ischaemic ulcer
4. Varicose ulcer

Correct answer: 4. Varicose ulcer

Explanation: ANSWER: (D) Varicose ulcerREF: SRB manual of surgery by Bhat 2nd ed page 160, Bailey 23rd ed page 239, 249BISGAARD'S REGIMEN OF VARICOSE ULCER: ( Mnemonic: 5Es)Education: Patient education of ulcer dressing and care, Ulcer care by regular cleaning by with povidone iodine, H2O2, Dressing with EUSOL,Elevation: limb elevation to reduce edema, increase venous drainage, to promote ulcer healingExercise: Massage, active and passive exercisesElastic compression: Pressure bandage (crepe bandage), Four layered high pressure compression bandageEvaluation:Note: Antibiotics depending on culture and sensitivity of discharge